At what size PLACENTOMEGALY is diagnosed on USG?
1. 25 mm
2. 30 mm
3. 35 mm
4. 40 mm

Correct answer: 4. 40 mm

Explanation: Placentomegaly - 40 mm Normal placenta Placentomegaly Size - 22 cm in diameter Thickness - 2.0 to 2.5 cm Weight - 470 g. Thickness > 40 mm . Weight - >750 g. Placentomegaly is associated with: Fetal hydrops Maternal diabetes Chronic infections (e.g. syphilis, cytomegalovirus), Maternal anemia